Which of the following is NOT the method for operating cleft lip :-
1. Le Muserier's method
2. Tennison's method
3. Millar's method
4. Wardill's method

Correct answer: 4. Wardill's method

Explanation: CLEFT LIP REPAIR TECHNIQUES Millar rotation advancement technique: most widely used Le Muserier's Thompson Tennison-Rendall Wardill's method is used in cleft palate surgery .